The coupling agent between electrical excitation and contraction of a muscle is said to be:
1. Dihydropyridine receptor (DHPR)
2. Ryanodine receptor
3. Ca++
4. Troponin C

Correct answer: 3. Ca++

Explanation: Coupling: electrical excitation travels into muscle, releases calcium & this calcium combines with troponin & causes muscle contraction. Events tills the release of calcium is electrical & after that is mechanical. T tubules contain DHPR & L tubules contain RYR.